Superotemporal dislocation of lens is seen in -
1. Marfan's syndrome
2. Homocystinuria
3. Weil Marchesani Syndrome
4. Alport's Syndrome

Correct answer: 1. Marfan's syndrome

Explanation: Ans. is 'a' i.e. Marfan's syndrome o Types of lens dislocations in various diseases :# Marfan syndrome - Superotemporal# Homocystinuria - Inferonasal# Weil-Marchesani syndrome - Forward